Most common infection caused by pseudomona is:
1. Respiratory infection
2. UTI
3. Skin infection
4. Wound sepsis

Correct answer: 1. Respiratory infection

Explanation: Respiratory infections are the most common infections caused by P. aeruginosa. Chest radiographs may show bilateral pneumonia, often with nodular densities with or without cavities. Necrotizing pneumonia has also been seen Ref: Harrison, E-18, P-1268